Concealment of an infant is under which section of IPC -
1. 320
2. 304
3. 375
4. 318

Correct answer: 4. 318

Explanation: CONCEALMENT OF BIRTH: Whoever, by secretly burying or otherwise disposing of the dead body of the child, intentionally conceals the birth of such child, shall be punished with imprisonment up to 2 years S. 318, I.P.C. If the child is a girl, rigorous imprisonment may extend to 5 years and also fine extending to 50,000. REF: The Synopsis Forensic medicine and Toxicology edition 29th page no:236.